If given in 1st trimester of pregnancy Warfarin therapy leads to which problem?
1. Chondrodysplasia
2. Fetal optic atrophy
3. Intellectual disability
4. None of the above

Correct answer: 1. Chondrodysplasia

Explanation: Ans. A. ChondrodysplasiaWarfarin therapy is contraindicated in the first trimester due to its association with fetal chondrodysplasia punctata. In the second and third trimesters, warfarin may cause fetal optic atrophy and intellectual disability.